A child has phocomelia. This is due to drug taken by mother -
1. Tetracycline
2. Thalidomide
3. Warfarin
4. Chloroquine

Correct answer: 2. Thalidomide

Explanation: Ans. is 'b' i.e., Thalidomide Thalidomide is the worst teratogen known in the history of medicine.It was widely used as sedative and hypnotic.It was also believed to reduce vomiting in pregnancy.It was a routine hypnotics in hospitals, was even recommended to help children adapt themselves to a convalescent home atmosphere. The indiscrete use of these drugs in pregnant women resulted in an outbreak of Phocomelia. Phocomelia means "seal extremities", it is a congenital deformity in which the long bones of the limbs are defective and substantially normal or rudimentary hands and feet arise on or nearly on the trunk like the flippers of seal. Thalidomide was subsequently banned.Now, decades later thalidomide has received approval from the food and drug administration in certain conditions.According to Indian Journal of pharmacology Clinical uses of thalidomideAIDS related aphthous ulcers(r)AIDS related wasting syndrome^Multiple myeloma and other solid tumoursQPrevention of graft versus host disease after transplantationQRheumatoid arthritisQAnkylosing spondylitisQCrohn's disease and Bechet's syndromErythema nodosum leprosumQ